Saw tooth appearance in abdominal barium enema X ray is seen in
1. Multiple polyposis
2. Ischemic colitis
3. Diverticulosis
4. Ulcerative colitis

Correct answer: 3. Diverticulosis

Explanation: Diverticula These are abnormal outpouchings or sacs of colon wall that occur due to interactions of high intraluminal pressures, disordered motility and low diet in fiber Formed on mesenteric side of antimesenteric taenia coli Results in protrusion of mucosa and submucosa through layers of muscle It is Pseudodiverticulum or False diverticulum Radiological evidence in prediverticular disease Saw tooth appearance of colon Shortening of bowel Crowding of haustra Picket fencing of folds Ischemic colitis- Ba. Enema - Thumb print sign Ulcerative colitis